First lymph node involved in maxillary carcinoma:
1. Submental
2. Submandibular
3. Clavicular
4. Lower jugular

Correct answer: 2. Submandibular

Explanation: In paranasal sinus tumors Lymphatic spread: Nodal metastases are uncommon and occur only in the late stages of disease. Submandibular and upper jugular nodes are enlarged. Maxillary and ethmoid sinuses drain primarily into retropharyngeal nodes, but these nodes are inaccessible to palpation. Systemic metastases are rare. May be seen in the lungs (most commonly) and occasionally in bone. Intracranial spread can occur through ethmoids, cribriform plate or foramen lacerum.